A 34 year old male with the chest trauma presents with sudden onset respiratory distress which is increasing. Hyper-resonant note is observed on the left side. Which of the following is the most appropriate immediate emergent management.?
1. Needle punture and emergent decompression
2. Tube insertion
3. Antibiotic and oxygen
4. No treatment needed

Correct answer: 1. Needle punture and emergent decompression

Explanation: Tension pneumothorax must be treated as a medical emergency. If the tension in the pleural space is not relieved, the patient is likely to die from inadequate cardiac output or marked hypoxemia. A large-bore needle should be inserted into the pleural space through the second anterior intercostal space. If large amounts of gas escape from the needle after insertion, the diagnosis is confirmed. Ref Harrison 19th edition pg 1719